vilazadone is a
1. SSRI
2. SARI
3. SNRI
4. SPARI

Correct answer: 4. SPARI

Explanation: SPARI * IMPORTANCE antidepressant with anti anxiety property * MECHANISM serotonin partial agonist and reuptake inhibitor * DRUGS Vilazodone Ref.kaplon and sadock, synopsis of sychiatry, 11 th edition, pg no. 955